Gentamicin is not given orally because:-
1. It has adverse effects on gastric mucosa
2. It interferes with absorption of other drugs
3. It is rapidly destroyed by gastric acid
4. It has poor absorption

Correct answer: 4. It has poor absorption

Explanation: AMINOGLYCOSIDES These include streptomycin, gentamicin, kanamycin, tobramycin, amikacin, sisomicin, netilmicin, neomycin and framycetin. These are not absorbed orally and do not cross blood brain barrier. These are excreted primarily by glomerular filtration and the dose should be decreased in renal insufficiency. These drugs exhibit CDK and have prolonged PAE, therefore are administered as single daily dose. Aminoglycosides are bactericidal inhibitors of protein synthesis. Their penetration across the cell wall is dependent on the oxygen dependent transport, therefore these drugs are inactive against anaerobes. Resistance to these drugs develops due to the formation of inactivating enzymes